Investigation of choice for leptomeningeal carcinomatosis -
1. PET
2. SPECT
3. Gd enhanced MRI
4. CT scan

Correct answer: 3. Gd enhanced MRI